Drug not causing hemolysis in G6PD deficiency?
1. Primaquinc
2. Chloroquine
3. Nalidixic acid
4. Nitrofurantoin

Correct answer: 2. Chloroquine

Explanation: Ans. is 'b' i.e., Chloroquine Among the given options, chloroquine is the best answer (though it can also cause hemolysis, but very rarely).